Incubation period of staphylococcal food poisoning is -
1. 4-6 hrs
2. 6-12 hrs
3. 12-18 hrs
4. 18-24 hrs

Correct answer: 1. 4-6 hrs

Explanation: Ans. is 'a' i.e., 4-6 hrs